The organism that does not affects hair ?
1. Trichophyton rubrum
2. Epidermophyton floccosum
3. Microsporum
4. All

Correct answer: 2. Epidermophyton floccosum

Explanation: Ans. is 'b' i.e., Epidermophyton floccosum